Which age group most often present with jaundice due to Omphalitis in infants is -
1. At birth
2. 24-72 hours
3. 1-3 weeks
4. 3-6 weeks

Correct answer: 4. 3-6 weeks